The disadvantage of Marshall Marchetti Krantz procedure compared with other surgical alternatives for treatment of stress urinary incontinence includes:
1. Urinary retention
2. Increased incidence of urinary tract infections
3. High failure rate
4. Osteitis pubis

Correct answer: 4. Osteitis pubis

Explanation: Ans. is d, i.e. Osteitis pubisRef: Telinde 9th/ed, p1057-8; Textbook of Gynae, Sheila Balakrishnan 1st/ed, p329Marshall-Marchetti-Krantz (MMK) procedure, involves the attachment of the periurethral tissue to the symphysis pubuis.In approximately, 3% of patients undergoing the procedure, osteitis pubis develops.